In G6PD deficiency hemolysis can be caused byall except ?
1. Chloroquine
2. Primaquine
3. Quinine
4. Penicillin

Correct answer: 4. Penicillin

Explanation: Ans. is 'd' i.e., Penicillin